According to Frankel behavioral scale, rating 3 stands for:
1. Definitely positive
2. Positive
3. Negative
4. Definitely negative

Correct answer: 2. Positive